V/Q ratio at the base of lung?
1. 1
2. 3
3. 0.6
4. 1.8

Correct answer: 3. 0.6

Explanation: Ans. is 'c' i.e., 0.6(Ref: Ganong 24hle P.636-637OverallV/Qratio of lung 0.8V/Qratio at aPex 3.0 (maximum)V/Q ratio at base - 0.6 (Least)